Most common cause of abnormality in first trimester abortion
1. Cervical incompetance
2. Chromosomal ahnormolity
3. Placental & membrane abnormality
4. Retroversion

Correct answer: 2. Chromosomal ahnormolity

Explanation: (Chromosomal anomaly) (161 - Dutta 6th)Common Causes of AbortionFirst Trimester -1. Genetic factor (50%) of early miscarriage are due to chromosomal abnormality in the conceptus, Autosomal trisomy is the commonest (50%) cytogenic abnormality2. Endocrine disorders (LPD) thyroid abnormalities DM3. Immunological disorders (Autoimmune and Alloimmune)4. Infection5. UnexplainedSecond trimester1. Anatomic abnormalities(a) Cervical incompetance (congenital or acquired) is Most common(b) Mullerian fusion defects (Bicomuate uterus, septate uterus)(c) Uterine synechiae(d) Uterine fibroid2. Maternal medical illness3. Unexplained